von Willebrand factor is produced by -
1. Liver
2. Platelets
3. Endothelial cells
4. Spleen

Correct answer: 3. Endothelial cells

Explanation: Von willebrand factor is produced endothelial cells.It is produced to a lesser degree by megakaryocytes. But mainly by endothelial cells Ref:Robbins and Cotran Pathologic basis of disease.South Asia Edition volume 1. Page no.662